Punishment for perjury is covered under section -
1. 191 IPC
2. 193 IPC
3. 195 IPC
4. 197 IPC

Correct answer: 2. 193 IPC

Explanation: Ans. is 'b' i.e., 193 IPC Perjury, Hostile witness and false certificateo 191 IPC: (i) Giving false evidence (perjury) under oath and (ii) hostile witness.o 192 IPC : Fabricating false evidence (perjury).o 193 IPC : Punishment for false evidence (punishment for perjury) : imprisonment upto 7 years + fine,o 194 IPC: Giving or fabricating false evidence to procure conviction of capital offence.o 195 IPC: Giving or fabricating false evidence to procure conviction of offence punishable with imprisonment for life.o 197IPC: Issuing or signing (attesting) false certificate by a doctor is a criminal offence.o 201 IPC : Causing disappearance of evidence.